The best prognosis in carcinoma stomach is with ?
1. Superficial spreading type
2. Ulcerative type
3. Linitis plastica type
4. Polypoidal type

Correct answer: 1. Superficial spreading type

Explanation: Ans. is 'a' i.e., Superficial spreading typeGastic Carinoma is classified on the basis of 1) Depth of invasion 2) Growth pattern 3) Histoloic subtype Depth of invasion ?o The morphological feature having the greatest impact on clinical outcome (prognosis) is the depth of invasion. o On the basis of depth of invasion, stomach cancers are divided into ?Early gastric carcinoma (superficial spreading type)o Lesions are confined to the mucosa and submucosa regardless of the presence or absence of perigastric lymph node metastasis.o Has best prognosis.Advaced gastric carcinomao Neoplasm that has extended below the submucosa into the muscular wall and spread more widely. Growth pattern -o Based on growth pattern , gastric carcinoma are divided into :?Exophytic Protrusion of tumor mass into the lumenFlat or depressed - There is no obvious tumor mass within the mucosaExcavated (ulcerative) - Erosive crater is present in the wall of stomach .o All the three types may be evident at early or advanced stage --> If evident at advanced stage, prognosis is poor, and if evident at early stage prognosis is good.o An uncommon fourth type of growth pattern is :?Linitis plastica ( Scirrhous Ca) --> A broad region of the gastric wall or entire stomach is extensively infiltrated by malignancy, creating a rigid, thicked leather bottle stomach. It has the worst prognosis.